Transformation of CLI/SLL into DLBCL is called -
1. Richter syndrome
2. Evans syndrome
3. Li Fraumeni syndrome
4. Kostmann syndrome

Correct answer: 1. Richter syndrome

Explanation: Answer- A. Richter syndromeRichter's transformation is development of an aggressive large-cell lymphoma in the setting of underlying chronic lymphocytic leukemia/small lymphocytic lymphoma (CLL/SLL).